Which of the following structure is not a part of knee extensor mechanism
1. Quadriceps tendon
2. Biceps femoris
3. Tibial tubercle
4. Patella tendon

Correct answer: 2. Biceps femoris

Explanation: The biceps femoris is not part of the extensor mechanism, but instead performs knee flexion. The other muscles are part of the knee extensor mechanism.